Which of the following features on X-ray chest can differentiate an Atrial septal Defect (ADH) from a Ventricular Septal Defect (VSD)
1. Enlarged Left Atrium
2. Pulmonary Plethora
3. Enlarged pulmonary Artery
4. Enlarged Aorta

Correct answer: 1. Enlarged Left Atrium

Explanation: Ans is 'a' i.e., Enlarged Left Atrium o Left atrium is not enlarged in an ASD in contrast to VSD where the left atrium is typically enlarged. Features ASD VSD PDA Chamber RA + RV LA +LV+ RV LV+LA +RV Enlargement (Mild/moderate cardiomegaly) (Gross caiomegaly) Pulmonary Artery Enlarged Enlarged Enalrged Pulmonary Present Present Present Vasculature (Pulmonary Plethora) Aorta Normal (or small) Normal (or small) Enlarged